Drug of choice for Restless leg syndrome
1. Febuxostat
2. Diazepam
3. Ropinirole
4. Baclofen

Correct answer: 3. Ropinirole

Explanation: Ropinirole which is a dopamine agonist is the drug of choice for Restless leg syndrome.